Risk of damage of fetus by maternal rubella is maximum if mother gets infected in:
1. 6-12 weeks of pregnancy
2. 20-24 weeks of pregnancy
3. 24-28 weeks of pregnancy
4. 32-36 weeks of pregnancy

Correct answer: 1. 6-12 weeks of pregnancy

Explanation: Congenital Rubella Syndrome: CRS is said to have occured if Infant has IgM rubella antibodies shortly after birth,, or IgG antibodies persist for more than 6 months. Major determinant of extent of fetal infection in CRS: Gestational age at which fetal transmission occurs, Infections in I trimester: MOST DISASTROUS TIME Abortions Still births Skin lesions: blue berry muffin lesions. Triad of Congenital Rubella syndrome: Sensineural deafness Congenital heart defects (MC is PDA Cataract Infection in early part of II trimester: Deafness (only) Infection after 16 weeks POG: No major abnormalities Risk of fetal damage in CRS: Stage of gestation % of fetuses infected % of fetuses damaged among infected Overall risk of damage <11 weeks 90 100 90 11-16 weeks 55 37 20 17-26 weeks 33 0 0 27-36 weeks 53 0 0 Other manifestations of CRS may include: spleen, liver or bone marrow problems, intellectual disability, microcephaly, low birth weight, thrombocytopenic purpura (characteristic 'blue berry muffin' rash), Hepatomegaly, micrognathia. Ref: Park 25th edition Pgno: 164